All of the following statement are true about Staphylococci except:
1. A majority of infection caused by coagulase (-) ye Staph. are due to staph. epidermidis
2. b-Lactamase production is under plasmid control
3. Expression of methicillin resistance in Staphylococcus aureus increases when it is incubated at 37degC on blood agar
4. Methicillin resistance in Staph. aureus is independent of b-Lactamase production

Correct answer: 3. Expression of methicillin resistance in Staphylococcus aureus increases when it is incubated at 37degC on blood agar

Explanation: Ans. (c) Expression of methicillin resistance in Staphylococcus aureus increases when it is incubated at 37degC on blood agar "Methicillin resistance is expressed more when Staph. is incubated at 30degC than at 37degC." Refer Ans. No. 3 for full explanation